Hypertension with androgenisation of a female child is a feature of congenital adrenal hyperplasia due to deficiency of-
1. C-21 hydroxylase
2. C-11 hydroxylase
3. C-17 hydroxylase
4. Desmolase

Correct answer: 2. C-11 hydroxylase